In a denture wearing patient, there is
1. No bone resorption
2. Bone formation
3. Independent of denture, there is bone resorption
4. Initial bone resorption, followed by bone formation

Correct answer: 3. Independent of denture, there is bone resorption